Which of the following is not an arch trait of the maxillary canine?
1. In the same dentition, the crown is larger than the mandibular canine
2. The incisal margin of the crown occupies atleast one third to one half of crown height
3. Labial aspect: mesial and distal marginal ridges converge toward cervix
4. Marked symmetry of mesial/distal halves when viewed from incisal

Correct answer: 4. Marked symmetry of mesial/distal halves when viewed from incisal

Explanation: Marked asymmetry of mesial and distal halves is not an arch trait of the maxillary canine.